A newborn baby presents with h/o seizures, hepatomegaly and following feature was noted on ophthalmic examination. Most probable diagnosis is
1. Deficiency of Galactokinase
2. Deficiency of Galactose 1 phosphate Uridly transferase
3. Deficiency of Ceruloplasmin
4. Maternal exposure of X - ray in Antenatal period

Correct answer: 2. Deficiency of Galactose 1 phosphate Uridly transferase